Ebstein Barr virus causes all except:
1. Burkitt's lymphoma
2. Infectious mononucleosis
3. Nasopharyngeal carcinoma
4. Carcinoma cervix

Correct answer: 4. Carcinoma cervix

Explanation: Ans: d (Carcinoma cervix)Ref: Ananthanarayan Micro, 7thed, p. 483 & 6th ed, p. 446